Sclerodema like disorder is/are caused by -
1. Vinyl chloride
2. Bleomycin
3. Pentazocin
4. All of the above

Correct answer: 4. All of the above